All of the following NHL involve the white pulp of spleen Except
1. Hairy cell leukemia
2. Burkitt lymphoma
3. Follicular lymphoma
4. Mantle cell lymphoma

Correct answer: 1. Hairy cell leukemia

Explanation: Hairy cell leukemia is a rare, slow-growing cancer of the blood in which your bone marrow makes too many B cells (lymphocytes), a type of white blood cell that fights infection. These excess B cells are abnormal and look "hairy" under a microscope.